All are obesity syndromes, EXCEPT:
1. Carpenter
2. Ahlstrom's
3. Cohen's
4. Caroli

Correct answer: 4. Caroli

Explanation: Syndromes associated with obesity and hypogonadism are Prader Willi, Laurence Moon Biedl, Ahlstrom's, Cohen's and Carpenter's syndrome. Ref: Harrisons Principles of Internal Medicine, 18th Edition, Page 626